Prolonged intake of PPI causes
1. Hypothyroidism
2. Pneumonia
3. Hepatitis
4. Pancreatitis

Correct answer: 2. Pneumonia

Explanation: Proton Pump (H+, K+-ATPase) Inhibitors Omeprazole, esomeprazole, lansoprazole, rabeprazole, and pantoprazole are substituted benzimidazolederivatives that covalently bind and irreversibly inhibit H+, K+- ATPase.Long-term acid suppression, especially with PPIs, has been associated with a higher incidence of community-acquired pneumonia as well as community and hospital-acquired Clostridium difficile-associated disease.Long-term use of PPIs was associated with the development of hip fractures in older women.Long-term use of PPIs has also been implicated in the development of iron and magnesium deficiency, but here again, the studies are limited and inconclusive. PPIs may exert a negative effect on the antiplatelet effect of clopidogrel.Reference: Harrison; 19th edition; Page no: 1921